Growth Hormone may be beneficial in the following, except:
1. In children with constitutional growth delay.
2. In treatment of osteoporosis.
3. Laron type dwarfism.
4. Panhypopituitarism.

Correct answer: 3. Laron type dwarfism.

Explanation: Growth hormone is effective in accelerating the growth rate in children with constitutional growth delay. It increases the calcium absorption in the gastrointestinal tract and has a positive effect on osteogenesis; it may be of use in treatment of osteoporosis and non-healing fractures. In panhypopituitarism, there is deficiency of all the anterior pituitary hormones. Before starting growth hormone, replacement with other hormones (thyroid hormone, glucocorticoids) must be done. Laron type dwarfism is due to mutation of the growth hormone receptor gene, which prevents binding of the growth hormone to its receptor and exerting its effect. Administration of growth hormone proves ineffective It is treated with insulin like growth factor-1.